Randomization is a process by which the participants have equal chance of being selected as
1. Case or control
2. Cohort or non cohort
3. Participation or non participation group
4. Study or control group

Correct answer: 4. Study or control group

Explanation: Ref:Park's Textbook of Preventive and Social Medicine 25th Ed